Causes of recurrent hernia -
1. Absorbable sutures
2. Sliding hernia
3. Missed sac
4. All

Correct answer: 4. All

Explanation: Ans. All options are correct i.e., 'a' i.e. Absorbable sutures, 'b' i.e. Sliding hernia, 'c' i.e. Missed sac